All of the following are renal vasoconstriction except
1. Angiotensin II
2. Carbon monoxide
3. Norepinephrine
4. Endothelin

Correct answer: 2. Carbon monoxide

Explanation: Carbon monoxide is not a vasoconstrictor.Ref: Ganong's review of medical physiology; 24th edition; page no; 675